TRUE statement about achalasia cardia is:
1. Achalasia is a common disorder
2. Loss of ganglion cells within the esophageal myenteric plexus
3. Excess LES relaxation is the major pathology
4. Latent infection with rubella virus is responsible for it

Correct answer: 2. Loss of ganglion cells within the esophageal myenteric plexus

Explanation: Achalasia is a rare disease It is caused by loss of the ganglion cells within the esophageal myenteric plexus With long-standing disease, virtual aganglionosis is noted. Pathology: Impaired deglutitive LES relaxation and absent peristalsis. It is believed that cause of ganglion cell degeneration in achalasia is an autoimmune process attributable to a latent infection with human herpes simplex virus 1 combined with genetic susceptibility. Ref: Harrison, Edition-18, Page-2431.